Patient underwent inguinal lymph node dissection and drain was placed. On 10th day severe bleeding occurs. What type of bleeding is this?
1. Reactionary hemorrhage
2. Secondary
3. Primary
4. Tertiary

Correct answer: 2. Secondary

Explanation: Ans. (b) Secondary* Secondary hemorrhage is due to sloughing of wall of vessel. It usually occurs 7-14 days after injury and is precipitated by factors such as infection,pressure necrosis or malignancy.